A patient with Pancoast's tumour develops loss of voice after radiation. It is due to
1. Vocal cord infiltration with secondary
2. Involvement of recurrent laryngeal nerve
3. Irradiation to vocal cords
4. Radiation stenosis of larynx

Correct answer: 2. Involvement of recurrent laryngeal nerve

Explanation: The recurrent laryngeal nerve is involved in Pancoast's tumour. Pancoast's tumour is a tumour of the pulmonary apex. Right recurrent laryngeal nerve arises from the vagus at the level of the subclavian artery, hooks around it and then ascends between the trachea and oesophagus. The left recurrent laryngeal nerve arises from the vagus in the mediastinum at the level of the arch of the aorta, loops around it and then ascends into the neck in the tracheo-oesophageal groove. Ref: PL Dhingra; Textbook of EAR, NOSE and THROAT; edition 6